Neonatal meningitis is caused by –
1. Group `B' Streptococcus
2. E. Coli
3. Klebsiella
4. All of these

Correct answer: 4. All of these

Explanation: Causes of neonatal meningitis 

Group B-streptococcus (str.agalactiae)    
Listeria monocytogens    
E.coli  
Klebsiella 
Streptococcus fecalis    
Coagulase negative staphylococci                          
Staphylococcus aureus